Basal layer of cell in stratified squamous epithelium is -
1. Squamous
2. Transitional
3. Cuboidal - columnar
4. Pseudostratified

Correct answer: 3. Cuboidal - columnar

Explanation: In stratified squamous epithelium the basal layer of cells is cuboidal to columnar that give rise to cells migrating towards the surface and becoming squamous.